A known HIV positive patient is admitted in an isolation ward after an abdominal surgery following an accident. The resident doctor who changed his dressing the next day found it to be soaked in blood. Which of the following would be the right method of choice of discarding the dressing?
1. Pour 1% hypochlorite on the dressing material and send it for incineration in a appropriate bag
2. Pour 5% hypochlorite on the dressing material and send it for incineration in a appropriate bag
3. Put the dressing material directly in an appropriate bag and send for incineration
4. Pour 2% lysol on the dressing material and send it for incineration in a appropriate bag

Correct answer: 3. Put the dressing material directly in an appropriate bag and send for incineration

Explanation: Ans. (c) Put the dressing material directly in an appropriate bag and send for incineration Ref. Park 22/e, p 738 This type of waste belongs to category 6 of biomedical waste disposal method for this category is direct incineration without chemical treatment Chemical treatment using at least 1% hypochlorine solution or any other equipment chemical reagent. It must be ensured that chemical treatment ensures disinfection. Multilation/shredding must be such so as to prevent unauthorized reuse.There will be no chemical pretreatment before incineration. Chlorinated plastics shall not be incinerated. 2 Deep burial shall be an option available only in towns with population less than lakhs and in rural areas. Categories of Biomedical Waste in India Optio Waste category Treatment and disposal Category No.1 Human Anatomical Waste (Human tissues, organs body parts) Incineration / deep burial2 Category No. 2 Animal Waste (Animal tissue, organs, body parts blood and experimental animals used in research, waste generated by veterinary hospitals colleges Incineration / deep burial2 Category No. 3 Microbiology and Biotechnology Waste (Waste from laboratory cultures, stock or specimens of micro-organisms, live or attenuated vaccines, human and animal cell culture used in research and infectious agents from research and industrial laboratories, waste from production of biologicals, toxins, dishes and devices and for transfer of cultures) Local autoclaving / microwaving / incineration Category No. 4 Waste sharps (needle, syringes,scar pals, blades, glass, etc. that may cause puncture and cuts. This includes both used and unused sharps) Disinefction (chemical treatment a autoclaving/microwaving and mutation/shredding) Category No. 5 Discarded medicines and cytotoxic drugs (wastes comprising of outdated,contaminated and discarded medicines) Incineration a destruction and drugs disposal in secured landfills Category No. 6 Solid waste (items contaminated with blood, and fluids including cotton, dressings, soiled plaster casts, linen, beddings, other material contaminated with blood) Incineration autoclaving/microwaving Category No. 7 Solid waste (wastes generated from disposable items other than the waste sharps such as tubings, catheters, intravenous sets, etc.) Disinfection by chemical treatment autoclaving /microwaving and mutilation/shredding Category No. 8 Liquid waste (waste generated from laboratory and washing, cleaning,housekeeping and disinfecting activities) Disinfection by chemical treatment and discharge into drains Category No. 9 Incineration ash (ash from incineration of any biomedical waste) Disposal in municipal landfill Category No. 10 Chemicals used in production of biologicals, chemicals used in disinfection,as insecticitdes, etc. Chemical treatment an and discharge into drains for liquids and secured landfill for solids Chemical treatment using at least 1% hypochlorine solution or any other equipment chemical reagent. It must be ensured that chemical treatment ensures disinfection. Multilation/shredding must be such so as to prevent unauthorized reuse. There will be no chemical pretreatment before incineration. Chlorinated plastics shall not be incinerated. 2 Deep burial shall be an option available only in towns with population less than lakhs and in rural areas. Color coding and type of container for disposal of biomedical wastes Color coding Type of container Waste category Yellow Plastic bag Cat. 1, Cat 2, and Cat. 3, Cat. 6 Red Disinfected container/plastic bag Cat. 3, Cat. 6, Cat 7 113Iue/White translucent Plastic bag/puncture proof container Cat. 4, Cat. 7 Black Plastic bag Cat. 5, Cat. 9 and Cat. 10 (solid)